Longest part of the optic nerve is
1. Intraocular
2. Intracranial
3. Intraorbital
4. Intracanalicular

Correct answer: 3. Intraorbital

Explanation: The optic nerve is about 47- 50 mm in length and can be divided into 4 parts : intraocular (1mm), intraorbital (30mm), intracanalicular (6-9mm) and intracranial (10mm). Refer comprehensive ophthalmology 6th edition , A K Khurana , page no. 310.